WHO defination of low birth weight is when birth weight is -
1. < 1.5 kg
2. < 2.0 kg
3. < 2.5 kg
4. < 3.0 kg

Correct answer: 3. < 2.5 kg

Explanation: Ans. is 'c' i.e., < 2.5 kg o Low birth weight newbornAny neonate weighing less than 2500 gm at birth irrespective of the gestational age.o Very low birth weight newbornAny neonate weighing less than 1500 gm at birth irrespective of the gestational age.o Extremely low birth weight newbornAny neonate weighing less than 1000 gm at birth irrespective of the gestational age.